Which one of the tissues putrefies late:
1. Brain
2. Prostate
3. Liver
4. Stomach

Correct answer: 2. Prostate

Explanation: Ans. Prostate